Amyloidosis deposition most commonly occurs in:
1. Renal vessels
2. Knee joints
3. Skin
4. Cornea

Correct answer: 1. Renal vessels

Explanation: Ans. A. Renal vessels* Amyloid is abnormal pathological protein resulting from improper folding of proteins and deposited extracellularly as fibrils and disrupt their normal function.* The most common site of deposition is kidney, followed by, liver, spleen, lymph nodes, adrenals, thyroid, GIT, heart etc.* In systemic amyloidosis, any organ can show deposition of Amyloid. Among all organs, kidneys are most commonly and most seriously get affected by Amyloidosis.